DNA synthesis occurs in phase
1. G1
2. G2
3. S
4. M

Correct answer: 3. S

Explanation: Cell cycle : In G1 phase , the cell prepares for DNA synthesis. DNA synthesis occurs diring the S (synthesis ) phase of the cell cycle. During the S phase , DNA is completely replicated , but only once. Cell prepares for mitosis in G2 phase, when proteins necessary for daughter cells are synthesized. Then the cell enters into the M phase. Reference : DM.VASUDEVAN.TEXTBOOK SEVENTH EDITION ; PAGE NO :582